Endothelial ligands VCAM and ICAM are involved in?
1. Phagocytosis
2. Adhesion
3. Chemotaxis
4. Leukocyte activation

Correct answer: 2. Adhesion

Explanation: Ans. is 'b' i.e., Adhesion * ICAM (intracellular adhesion molecule-1) and VCAM (Vascular cell adhesion molecule-1) act as adhesion molecules in the process of diapedesis.* Platelet endothelial cell adhesion molecule (PECAM or CD-31) is present on both endothelium and leukocytes. It is the major adhesive molecule for diapedesis.Endothelial - Leukocyte Adhesion MoleculesEndothelial moleculeLeucocyte MoleculeMajor RoleP-selectinSialyl-Lewis X-modified proteinsRollingE-selectinSialyl-Lewis X-modified proteinsRolling and adhesionGlyCam-1, CD34L-selectinRollingICAM-1 (Immunoglobulin family)CD11/CD18 b2 integrin (LFA-1, Mac-1)Adhesion, arrest, transmigrationVCAM-1 (Immunoglobulin family)VLA-4 b-1 integrinAdhesionPEC AM-1 (CD-31)PEC AM-1 (CD -31)Diapedesis (transmigration)